After an incised wound, new collagen fibrils are seen along with a thick layer of growing epithelium. The approximate age of the wound is:
1. 4-5 days
2. About 1 week
3. 12-24 hours
4. 24-72 hours

Correct answer: 1. 4-5 days

Explanation: The approximate age of the wound in an incised wound, when new collagen fibrils are seen along with a thick layer of growing epithelium is 4-5 days.